Drug not causing Thyroid dysfunction is:
1. Amiadarone
2. Lithium
3. Cholestryamine
4. Paracatemol

Correct answer: 4. Paracatemol

Explanation: Paracatemol